Civatte bodies are seen in -
1. Psoriasis
2. Vitiligo
3. Lichen planus
4. Dermatophytosis

Correct answer: 3. Lichen planus

Explanation: Ans. is 'c' i.e., Lichen planus Civatte bodies (cytoid bodies/ colloid bodies/ hyaline bodies)o Characteristic histopathological feature of lichen planuso They are apoptotic basal cells present at dermo-epidermal junction and papillary dermis. Formed my macrophages engulfing the melanin.Other histopathological features of lichen lanuso Hydropic degeneration of basal cells (Pathognomic feature)o Hypergranulosis (thickening of granular layer) (focal hypergranulosis clinically creates Wickham straie)o Hyperkeratosis (thickening of stratum comeum)o Acanthosis (thickening of stratum malpighi)o Sub-epidermal lichenoid band (deposition of lymphocytes & histiocytes in upper dermis)o Pigment incontinence (dropping of melanin from damaged Keratinocytes of epidermis into dermis)o Max Joseph space/cleft (separation of epidermis in small clefts)o Saw tooth appearance (flattened rete ridges)